A 38-year-old woman presents with painless post-coital bleeding. She had a cone biopsy for carcinoma in situ five years ago. Her last pap smear was three months after the biopsy. Her last period was six weeks ago. Most probable diagnosis is
1. Carcinoma of cervix
2. Ectopic pregnancy
3. Endometrial carcinoma
4. Uterine fibroids

Correct answer: 1. Carcinoma of cervix

Explanation: The recurrence of abnormal vaginal bleeding in a patient with a previous history of a cone biopsy would raise concerns of carcinoma of the cervix.Her last smear was nearly five years ago, indicating she defaulted from follow-up after her cone biopsy.Six weeks amenorrhoea might raise concerns about an ectopic pregnancy but the absence of pain makes this unlikely.It would always be wise to perform a pregnancy test and scan if in any about.